ACE inhibitors are contraindicated in bilateral renal artery stenosis because -
1. Angiotensin II is required for GFR
2. Hyperrenism which occurs in long term therapy is dangerous to the kidney which secondary damages kidney causing decreased renal bloodfoow
3. Bradykinin motabolism is affected
4. Prostaglandin levels are altered

Correct answer: 1. Angiotensin II is required for GFR